Which is not an investigation of syphillis :
1. VDRL
2. FTA-ABS
3. Weil-Felix
4. TPI

Correct answer: 3. Weil-Felix

Explanation: Ans is 'c' ie Weil-FelixWeil-Felix is not an inv. for Syphilis.